Most common nerve injured during hernia surgery:
1. Ilioinguinal nerve
2. Iliohypogastric nerve
3. Genitofemoral nerve
4. None of the above

Correct answer: 1. Ilioinguinal nerve

Explanation: External oblique aponeurosis is in close relation to ilioinguinal nerve & hence during operation for inguinal hernia, prevention of injury to ilioinguinal nerve to avoid later development of incisional hernia is very important. MC injured nerve in laparoscopic hernia repair: Lateral cutaneous nerve of thigh > Genitofemoral nerve (GFN) MC injured nerve in open hernia repair: Ilioinguinal nerve > IlioHypogastric nerve> Genital branch of GFNQ (GHI in reverse sequence)